Normal IQ is -
1. 45
2. 85
3. 65
4. 100

Correct answer: 4. 100

Explanation: An average normal IQ is considered to be 100. However, the range actually extends from 90-109.